When is the maximum collagen content of woundtissue -
1. Between 3rd to 5th day
2. Between 6th to 17th day
3. Between 17th to 21st day
4. None of the above

Correct answer: 3. Between 17th to 21st day

Explanation: Over the first 3 weeks strength and collagen content both increases but after 21 days collagen content remains static and only wound strength increases.